Anemia with reticulocytosis is seen in?
1. Hemorrhage
2. Severe iron deficiency
3. Severe vitamin B12 deficiency
4. Aplastic anemia

Correct answer: 1. Hemorrhage

Explanation: In options 2,3,4 the anemias are due to some pathology or due to deficiency of nutrients and normal reticulocytes are not formed . In hemorrhage there is blood loss anemia and the normal pathway of RBC formation is followed and reticulocytes can be seen high reticulocyte count with low RBCs, low hemoglobin, and low hematocrit (anemia) may indicate conditions such as: ... Hemolytic anemia: In this condition, anemia is caused by increased destruction of RBCs. The bone marrow increases RBC production to compensate, resulting in a high reticulocyte count.haemorrage is of such condition Ref robbins 9/e pg 412